Treatment of choice for non-united fracture of lower 1/4th tibia with multiple discharging sinuses & various puckered scar with 4 cm shortening of leg -
1. Plating
2. External fixator
3. Ilizarov's fixator
4. Intramedullary nail

Correct answer: 3. Ilizarov's fixator

Explanation: Patient in question has infected non-union (multiple discharging sinuses & various pukered scar) with shortening of 4 cms. Ilizanov fixation with distraction osteogenesis will be the best option.